All are components of Behaviour sciences except -
1. Political Sciences
2. Anthropology
3. Sociology
4. Psychology

Correct answer: 1. Political Sciences

Explanation: the term behavioural science is applied to social anthropology, sociology , social psychology because they deal directly with human behaviour political sciences not included in behavioural sciences ref ;(page no;726) 25th edition of PARK's textbook of Preventive and Social medicine